In differential diagnosis of epididymo-orchitis & torsion it is important that -
1. Elevation of testis in torson relieves pain
2. Elevation of testis in epididymo orchitis relieves pain
3. Tenderness is characteristic of torsion of testis
4. Fever is characteristic of epididymo orchitis

Correct answer: 2. Elevation of testis in epididymo orchitis relieves pain

Explanation: Ans. 'b' Elevation of testis in epididymo orchitis relieves pain